All of the following spaces are seen in relation to larynx except
1. Space of boyer
2. Space of tucker
3. Reinke's space
4. Space of gillette

Correct answer: 4. Space of gillette

Explanation: SPACES OF THE LARYNX 1. Pre-epiglottic space of Boyer:- It is bounded by upper part of thyroid cartilage and thyrohyoid membrane in front, hyoepiglottic ligament above and infrahyoid epiglottis and quadrangular membrane behind. Laterally, it is continuous with paraglottic space. It is filled with fat, areolar tissue and some lymphatics. 2. Paraglottic space(space of Tucker):- It is bounded by the thyroid cartilage laterally, conus elasticus inferomedially, the ventricle and quadrangular membrane medially, and mucosa of pyriform fossa posteriorly. It is continuous with pre-epiglottic space. Growths which invade this space can present in the neck through cricothyroid space. 3. Reinke's space:- Under the epithelium of vocal cords is a potential space with scanty subepithelial connective tissues. It is bounded above and below by the arcuate lines, in front by anterior commissure, and behind by vocal process of arytenoid. Oedema of this space causes fusiform swelling of the membranous cords (Reinke's oedema). Space of Gillette: A potential space between buccopharyngeal fascia anteriorly and prevertebral fascia posteriorly. It is divided into 2 halves by a midline band. These 2 halves are called "Space of Gillette". Ref:- Dhingra; pg num:-285